Which of the following is not an insulin analogue ?
1. Insulin glargine
2. Insulin lispro
3. Actrapid
4. Insulin aspart

Correct answer: 3. Actrapid